Soap Buble appearance on X ray is seen in which of the following bone tumor
1. Osteogenic sarcoma
2. Giant cell tumor
3. Multiple myeloma
4. Chondroblastoma

Correct answer: 2. Giant cell tumor

Explanation: Soap bubble appaerance is Characeteristic of giant cell tumor (osteoclastoma)